The β (Beta) hemihydrate of gypsum requires more water to float its powder particles because
1. They are more regular in shape and dense
2. They are more regular in shape and highly porous
3. They are more irregular in shape and porous
4. They are more dense and prismatic in shape

Correct answer: 3. They are more irregular in shape and porous